Immediate source of energy is ?
1. Cori's cycle
2. HMP
3. ATP
4. TCA cycle

Correct answer: 3. ATP

Explanation: Ans. is 'c' i.e., ATP There are three energy systems to provide energy for muscular activities.Immediate energy system : Energy is provided by stored ATP and creatine phosphate.Anaerobic glycolytic system (lactic acid system) : Energy is generated by utilization of glucose or glycogen by anaerobic glycolysis. This energy is also generated early.Aerobic or oxidative system : Energy is generated by utilization of glucose/glycogen, and fatty acids through oxidative pathways, e.g. TCA cycle.These three energy systems operate as a continuum; each system is always functioning, even at rest. o What varies is the relative contribution each system makes to total ATP production at any given time.SubstratesImmediate energy systemATP, creatine phosphateAn erobic glycolytic systemGlucose or glycogenOxidative (aerobic) systemGlucose or glycogen, fatty acidsEnergy production Very fastFastSlowPeak at0-30 sec.20-180 sec.>3 minLimiting factorDepletion of CrP, ATPLactic acid as_. vitiationGlycogen depletionActivity examplePowerlifting & weightLonger sprintsEndurance events lifting, short sprintsMiddle distance team sposTeam sports Jumping, throwingBall games (Soccer, rugby)Ball games (Soccer, field hockey)